Which of the following structures is seen in oropharynx?
1. Pharyngotympanic tube
2. Fossa of Rosenmuller
3. Palatine tonsil
4. Pyriform fossa

Correct answer: 3. Palatine tonsil

Explanation: (c) Palatine tonsil(Ref. Scott Brown, Vol 3; 739)Palatine tonsil lies in the lateral wall of oropharynx.Pharyngotympanic tube or Eustachian tube and Fossa of Rosenmuller is present in the lateral wall of nasopharynx.Pyriform fossa is a component of the hypo- or laryngopharynx.